Xanthoproteic test is used for -
1. Ketone bodies
2. Bile salts
3. Amino acids
4. Reducing sugars

Correct answer: 3. Amino acids

Explanation: Xanthoproteic test is a color (yellow) reaction of proteins This test is Positive for aromatic amino acids only. Note: Xanthurenic acid is the metabolite in the metabolism of tryptophan.